Which of the following doesnot predispose to cholangiocarcinoma
1. Ulcerative colitis
2. Clonorchis sinensis
3. Choledochal cyst
4. Chronic pancreatitis

Correct answer: 4. Chronic pancreatitis

Explanation: Risk factors for cholangiocarcinoma Choledochal cyst Primary sclerosing cholangitis Ulcerative colitis. RPC or hepatolithiasis. Biliary enteric anastomosis HBV, HIV, HCV Choledocholithiasis Clonorchis sinensis and opisthorchis viverrini Cirrhosis Radon Asbestos, Nitrosamines, Dioxib(AND). Diabetes, Obesity, OCP's, smoking, Thorotrast, Isoniazid(DOSTI) Ref: Sabiston 20th edition Pgno :1514